In discussing the treatment of a 42-year-old man with severe liver cirrhosis, the possibility of heterotopic transplantation is considered. Which statement about heterotopic liver transplantation is TRUE?
1. It implies removal of the recipient's liver.
2. It is preferable to orthotopic liver transplantation.
3. It should be done in the iliac vessels.
4. It is rarely associated with long-term survival.

Correct answer: 4. It is rarely associated with long-term survival.

Explanation: Is rarely associated with long-term survival. Heterotopic (to a remote position) auxiliary transplantation is only occasionally indicated where orthotopic transplantation cannot be carried out. Long-term survival with this procedure is limited (2 of 69 cases). Heterotopic auxiliary liver transplants require low outflow pressure and are, therefore, most likely to succeed if placed proximally as close to the heart as possible. One advantage of this procedure is that the procedure is technically easier, because the patient's liver is not disturbed.